All of the followings are true about Sprengel's deformity, except:
1. Associated with congental scoliosis
2. Associated with diastematomyelia
3. High incidence with Klippel-Feil syndrome
4. Associated with dextrocardia

Correct answer: 4. Associated with dextrocardia

Explanation: ANS. DSprengel's deformity: It is congenital elevation of the scapula.Is a complex deformity of the shoulder and the most common congenital shoulder anomaly.Associations of Sprengel's deformity:* Klippel-Feil syndrome* Spina bifida* Diastematomyelia* Torticollis* Kyphoscoliosis# Klippel-Feil syndromeThe most common sign of the disorder is restricted mobility of the neck and upper spine. A short neck and low hairline at the back of the head may occur in some patients.